Corneal endothelium is embryologically derived from –
1. Neural crest
2. Ectoderm
3. Mesoderm
4. Endoderm

Correct answer: 1. Neural crest

Explanation: Corneal epithelium → Surface ectoderm.
Corneal stroma, keratocytes and corneal endothelium → neural crest.